A 30 year old woman with a bad obstetric history presents with fever. The blood culture from the patient grows gram-positive small to medium coccobacilli that are pleomorphic, occurring in short chains. Direct wet from the culture shows tumbling motility. The most likely organism is -
1. Listera monocytogenes
2. Corynebacterium sp.
3. Enterococcus sp.
4. Erysipelothrix rhusiopathiae

Correct answer: 1. Listera monocytogenes

Explanation: Listeria in pregnancy can lead to abortion.
Febrile woman with a bad obstetric history presents with gram-positive coccobacilli and tumbling motility is suggestive of Listeria monocytogenes.